Examples of type 1 hypersensitivity is -
1. Lepromin test
2. Tuberculin
3. Casoni's test
4. Arthus reaction

Correct answer: 3. Casoni's test

Explanation: Casoni test : it is an immediate hypersensitivity skin test. - sterile hydatid fluid is used as antigen. 0.2 ml of this antigen is injected intradermally in onearm. Sterile normal saline 0.2ml is injected intradermally in the other arm which acts as control. In positive cases, tested site develop a large wheal of 5 cm diameter or more with multiple pseudopodia. Reference :Baveja medical parasitology, third edition, Pg no:107